Sequence of lochia during puerperium is:
1. Serosa --> alba --> rubra
2. Rubra --> alba --> serosa
3. Rubra --> serosa --> alba
4. Alba --> serosa --> rubra

Correct answer: 3. Rubra --> serosa --> alba

Explanation: Ans: C i.e. Rubra --> serosa --> alba Lochia is the vaginal discharge for the first fortnight during puerperium. Depending upon the variation of the colour of the discharge, is named as: (1) Lochia rubra (red) 1-4 days. (2) Lochia serosa (yellowish/ pink) 5-9 days. (3) Lochia alba (white) 10-15 days.